Florence test is done for:
1. Blood stains
2. Seminal stains
3. Stains of plant origin
4. Salivary stains

Correct answer: 2. Seminal stains

Explanation: Ans. B i.e. Seminal stains